Investigation of choice in suspected gallbladder stone is:
1. Ultrasound
2. X-ray
3. Barium study
4. Oral cholecystography

Correct answer: 1. Ultrasound

Explanation: USG is IOC for acute calculous cholecyctitis, chronic cholecystitis and cholilithiasis USG can demonstrate Biliary calculi Size of GB and CBD Thickness of GB wall Presence of inflammation around GB Occasionally, presence of stones within the biliary tree.